Depression and Protrusion of the mandible:
1. Medial (INTERNAL) pterygoid muscle
2. Lateral (EXTERNAL) pterygoid muscle
3. Masseter muscle
4. Temporalis muscle

Correct answer: 2. Lateral (EXTERNAL) pterygoid muscle